For the field diagnosis of trachoma, the WHO recommends that follicular and intense trachoma inflammation should be assessed in:
1. Women aged 15-45 years
2. Population of 10 to 28 years range
3. Children aged 0-10 years
4. Population above 25 years of age irrespective of sex

Correct answer: 3. Children aged 0-10 years

Explanation: Ans. is 'c' i.e. Children aged 0-10 years Trachoma is an endemic disease most commonly affecting children (of the 2 to 5 yrs age group) So quite obviously it should be assessed in the age group its most common, to prevent the development of its complications. Although no documented reference has been found by me, the below given line from Park 17th/e, p 237, gives some support to the answer. "A prevalence or more than 5 percent severe and moderate trachoma in children under 10 years is an indication for mass or blanket treatment" For the WHO classification of Trachoma.